After rupture of tympanic membrane the hearing loss is -
1. 10-40 dB
2. 5-15 dB
3. 20 dB
4. 300 dB

Correct answer: 1. 10-40 dB